All of the following are true about Galactosemia EXCEPT?
1. Galactose 1 phosphate and galactitol have toxic effects on various organs
2. Patients are symptomatic immediately after birth
3. Jaundice and liver dysfunction commonly seen
4. E.coli sepsis is an important cause of mortality

Correct answer: 2. Patients are symptomatic immediately after birth

Explanation: Patients with Galactosemia are usually normal at birth & become symptomatic after 3-4 days of breast milk or formula feeding. Cause by deficiency of: GALT (Galactose 1 PO4 uridyl transferase) Galactokinase Epimerase Results in accumulation of Galactose-1-phosphate and galactitol which have toxic effects on various organs (Liver, eye) Breast feeding is contraindicated in confirmed cases of galactosemia Sepsis with E.coli is common in children with galactosemia In Galactosemia, Urine for reducing substances is positive (Done by Benedict's test)